ECT is indicated in which of these conditions
1. Hypomania
2. Severe depression
3. OCD mixed
4. Generalized anxiety disorder

Correct answer: 2. Severe depression

Explanation: Severe depression, catatonia are 2 primary indications for ECT